Hypocalcemia in immediate post - , op period following excision of parathyroid adenoma is due to -
1. Stress
2. Increased uptake by bones
3. Hyper calciuria
4. Increased calcitonin

Correct answer: 2. Increased uptake by bones

Explanation: Also k/a hungry bone syndrome.